The first number in the instrument formula indicates
1. Length of the blade in centimeters
2. 1/10th of the width
3. angulation of the blade in degrees
4. primary cutting edge angle

Correct answer: 2. 1/10th of the width